Lateral medullary syndrome (Wallenberg syndrome) is characterized by all, Except -
1. Giddiness
2. Dysphagia
3. Crossed hemianaesthesia
4. Horner's syndrome is rare

Correct answer: 4. Horner's syndrome is rare